A person has inability to look downward and laterally. The nerve injured is:
1. Occulomotor
2. Trochlear
3. Abducent
4. Trigeminal

Correct answer: 2. Trochlear

Explanation: Ans. B i.e. Trochlear Cranial nerves related to ophthalmology 3rd cranial nerve: - Supplies all extra-ocular muscle EXCEPT superior oblique & lateral rectus, Complete paralysis results in external ophthalmoplegia (Inability to move the eye upward, inward & downward), - Drooping of the upper eyelids due to paralysis of levator palpabrae superioris (ptosis), - Pupillary sparing is a feature of DM 4th cranial nerve: - Weakness/ paralysis of superior oblique muscle; - Which normally moves the eye downwards & inwards 6th cranial nerve: - Weakness/paralysis of lateral rectus; - Which normally rotates the eye laterally